Drug Induced Lupus is caused by all except
1. Sulphonamides
2. Hydralazine
3. Isoniazid
4. Procaine

Correct answer: 4. Procaine

Explanation: Drugs metablized by acetylation can cause drug induced lupus: "D.SHIP"

Dapsone
Sulphonamides
Isoniazid
Procainamide (not Procaine).